In children which of the following virus has been implicated in the pathogenesis of choroid plexus tumour?
1. Simian virus 40
2. HIV
3. Herpes simplex
4. Hepa s B

Correct answer: 1. Simian virus 40

Explanation: Simian virus 40